Which of the following is also called as "minimal brain dysfunction syndrome"?
1. Dyslexia
2. ADHD
3. Intellectual disability
4. Down's syndrome

Correct answer: 2. ADHD